In a pregnant woman of 28 weeks gestation IUD is earliest demonstrated on X-ray by:
1. Increased flexion
2. Overlapping of cranial bone
3. Spalding's sign
4. Gas in vessels

Correct answer: 4. Gas in vessels